Which of the following is a reverse transcriptase inhibitor?
1. Ritonavir
2. Saquanavir
3. Amprenavir
4. Tenofovir

Correct answer: 4. Tenofovir

Explanation: ANSWER: (D) TenofovirREF: Harrison 17th ed chapter 182Class of antiretroviral drugs for hivExampleReverse Transcriptase Inhibitors ( NRTI - nucleoside reverse transcriptase inhibitors)ZidovudinefAZT), Didanosine(DDl), zalcitabine(DDc) , Sfavudine (d4T), Lamivudine{3TC) , AbacavirReverse Transcriptase Inhibitors ( NNRTI - Non nucleoside reverse transcriptase inhibitors)Emtricitabine (FTC),tenofovir, delavirdine , efavirenzProtease inhibitorsRitonavir , saquanavir , amprenavir , lopinavir , nelfinavir , indinavirIntegrase InhibitorRaltegravirEntry InhibitorsEnfuvirtide